Pipe stern colon is seen in:
1. Ulcerative colitis
2. Carcinoma colon
3. Crohn's disease
4. Whipple's disease

Correct answer: 1. Ulcerative colitis

Explanation: Ans. Ulcerative colitis